Smoky stool syndrome is characteristically seen in poisoning with
1. Iodine
2. Bromine
3. Fluorine
4. Phosphorus

Correct answer: 4. Phosphorus

Explanation: Signs and Symptoms of acute phosphorus poisoning Garlicky odour Luminous vomit and stool because of the presence of phosphorus Fumes emanate from the stools (smoking or smoky stool syndrome). Acute Poisoning causes liver cell necrosis, fatty liverand acute yellow atrophy.